Length of adult trachea
1. 5-6 cm
2. 10-11 cm
3. 15-16cm
4. 20-21cm

Correct answer: 2. 10-11 cm

Explanation: Trachea is 10-15 cm length. BD CHAURASIA'S HUMAN ANATOMY VOLUE1 .6 TH EDITION. PAGE NO 281